Pulse steroid therapy can be given in ?
1. Pemphigus vulgaris
2. Acute renal allograft rejection
3. Optic neuritis
4. All the above

Correct answer: 4. All the above

Explanation: Ans. is'd'i.e., All the abovePulse Steroid therapyPulse therapy means the administration of supra pharmacologic doses of drugs in an intermittent manner to enhance the therapeutic effect and reduce the side effects.In context of corticosteroids, pulse therapy refers to discontinuous i.v. infusion of high doses of the medication, arbitrarily defined as treatment with more than 250 mg prednisone or its equivalent per day, for one or more days.There are no guidelines on the frequenry or timing of administration of the i.v. pulses; which therefore includes single boluses, daily boluses given for 3 days in a row, or on alternate days for up to 12 days.The agent most commonly used for corticosteroid pulse therapy is methylprednisolone.